False statement regarding DIC is:
1. Thrombocytopenia
2. Decreased fibrinogen
3. Decreased PTT
4. Increased PT

Correct answer: 3. Decreased PTT

Explanation: Ans. C: Decreased PTT In DIC, clotting factors and platelets are consumed resulting in thrombocytopenia, prolonged PT and APTT. In addition, there is evidence of active coagulation with consumption of fibrinogen and generation of fibrin degradation products (D-dimers) Diagnosis of Severe cases with hemorrhage: The PT and APTT are usually very prolonged and the fibrinogen level markedly reduced. High levels of fibrin degradation products, including D-dimer, are found owing to the intense fibrinolytic activity stimulated by the presence of fibrin in the circulation. There is severe thrombocytopenia. The blood film may show fragmented red blood cells (schistocytes). Diagnosis of Mild cases without bleeding: There is increased synthesis of coagulation factors and platelets. PT, APTT, and platelet counts are normal. fibrin degradation products are raised. Definitive diagnosis depends on the result of: Thrombocytopenia Prolongation of prothrombin time and aPTT A low fibrinogen concentration Increased levels of FDP